Which of the following infection is the cause for multiple sites of osteomyelitis of the jaw:
1. Peritonsillar abscess
2. Local trauma
3. Hematogenous infection
4. Buccal space infection

Correct answer: 3. Hematogenous infection